Minimum number of Goblet cells in Conjunctiva is found at
1. Nasal bulbar conjunctiva
2. Lower temporal conjunctiva
3. Upper tarsal conjunctiva
4. Upper temporal conjunctiva

Correct answer: 4. Upper temporal conjunctiva

Explanation: Upper temporal conjunctiva has minimum number of Goblet cells in Conjunctiva.
Nasal bulbar conjunctiva has maximum number of Goblet cells in Conjunctiva.